Dietle's crises, are seen in
1. Pyelonephritis
2. Pelviureteric junction obstruction
3. Renal trauma
4. Chronic renal failure

Correct answer: 2. Pelviureteric junction obstruction

Explanation: Ans. b (Pelviureteric junction obstruction). (Ref. Bailey & Love, Surgery, 25th ed., 1293).Intermittent hydronephrosis (Dietl's crisis): A swelling in the loin is associated with acute renal pain. Some hours later the pain is relieved and the swelling disappears when a large volume of urine is passed.TERMMeaningDietl's crisesAfter an attack of acute renal pain a swelling in loin is found.Some hours later, following the passage of a large volume of urine, the pain is relieved and swelling disappears, known as Dietl's crises.It is seen in intermittent hydronephrosis, for e.g. due to PUJ obstruction.MengenblaseAcute abdominal pain due to gaseous distention of splenic flexureMittelschmerzMidcycle rupture of a follicular cyst with bleeding produces lower abdominal and pelvic pain, typically midcycle. Systemic upset rare, pregnancy test negative, symptoms subside within hours.Occasionally, diagnostic laparoscopy required.Retrograde menstruation cause similar symptoms.MeteorismThe gas filled, slightly dilated loops of bowel produce pain anywhere in body, or when respiration is laboured as in asthma or pneumonia, the amount of air swallowed is increased, thus containing relatively little fluid and term meteorism is applied to this appearance.StranguryBladder pain is felt as a suprapubic discomfort made worse by bladder filling. In men, a sharp pain misleadingly referred to the tip of the penis may be the result of irritation of the trigone of the bladder. Severe inflammation of the bladder can cause an extreme wrenching discomfort at the end of micturition.